. E-cadherin is more often mutated
1. Diffuse type of gastric cancer
2. Carcinoid tumour
3. Malignant ulcer of Stomach
4. Erosive gastritis

Correct answer: 1. Diffuse type of gastric cancer

Explanation: A germ line mutation in E-cadherin gene-loss of E-Catherine function-diffuse type of gastric cancer. Microscopy: it is composed of dis cohesive tumor cells(due to absence of E-cadherin) and do not form glands. Tumor cells contain abundant music which expands the cytoplasm and push the nucleus to periphery creating signet- ring cell appearance. GENERAL AND SYSTEMIC PATHOLOGY RAMDAS NAYAK SECOND EDITION PAGE 489 IMAGE REF: GENERAL AND SYSTEMIC PATHOLOGY RAMDAS NAYAK SECOND EDITION FIG:18-11A AND B PAGE 490